A 30 year old female  patient complains of decayed teeth. Intraoral examination reveals occlusal caries with 46. Dentist decides to restore the tooth with composite restoration. What will be the C factor for this tooth?
1. 2
2. 3
3. 4
4. 5

Correct answer: 4. 5

Explanation: In an occlusal preparation, composite is bonded to five tooth surfaces—mesial, distal, buccal, lingual, and pulpal. The occlusal surface of the composite is the only “free” or unrestrained surface. In such a situation, the ratio between the number of bonded surfaces and the number of unbonded surfaces is 5 : 1, giving the restoration a configuration factor equal to 5.
Reference- Sturdevant Operative Dentistry 7th ed Pg-141